First antibody response is mediated by -
1. IgE
2. IgM
3. IgA
4. IgD

Correct answer: 2. IgM

Explanation: IgM antibodies appear early in the course of an infection and usually reappear, to a lesser extent, after further exposure. Ref: Ananthanarayan & Panikers textbook of microbiology 9th edition pg:98